Which of the following is the most common nonalcholic cause of acute pancreatitis -
1. Thiazides
2. Hypercalcaemia
3. Hyperlipidaemia
4. Gall stones

Correct answer: 4. Gall stones

Explanation: Ans. is 'd' i.e., Gall stones